During normal conversation sound heard at 1 meter distance is-
1. 80 dB
2. 60 dB
3. 90dB
4. 120 dB

Correct answer: 2. 60 dB

Explanation: Ans. is 'b' i.e., 60dB o Intensity is the strength of sound which determines its loudness. It is usually measured in decibels (dB).o Following are intensities when a person is at a distance of one meter from sound source. IntensityWhisper30 dBNormal conversation60 dBShout90 dBDiscomfort of ear120 dBPain in ear130dB